For a given population, minimum no. of newborns to be examined for calculating percentage of LBW of babies
1. 100 babies
2. 500 babies
3. 1000 babies
4. 10,000 babies

Correct answer: 2. 500 babies

Explanation: Low birth weight (LBW): Birth weight less than 2500grams (2.5 kg) . It includes both pre-term (<37 weeks POG) and full-term (>37 weeks POG) babies. Prevelence of LBW: 15% (World); 18% (India); If cutoff for LBW is reduced to 2.0 kg, expected prevelence of LBW inn India will be 5.5% LBW is regardless of gestational age. Depending on the population, the percentage of LBW be based on measurements of atleast 500 babies. Goal for LBW in National Health Policy 1983: Reduce LBW to <10% by 2000. Ref: Park 22th edition Pgno: 495